Which of the following is the most common etiological agent in paranasal sinus mycosis
1. Aspergillus fumigatus
2. Histoplasma
3. Conidiobolus coronatus
4. Candida albicans

Correct answer: 1. Aspergillus fumigatus

Explanation: Aspergillus is caused by the inhalation of aspergillus conidia or mycelial fragments resulting in respiratory diseases, disseminated aspergillosis in brain, kidney and heart. And superficial infection like sinusitis, otomycosis and mycotic keratitis. sinusitis is caused by A.fumigatus and A.flavus. Ref: Textbook of Microbiology, Ananthanarayan and Paniker; 9th edition